A contraindication to the use of ciprofloxacin is a history of :
1. Epilepsy
2. Deep vein thrombosis
3. Gout
4. G–6 PD deficiency

Correct answer: 1. Epilepsy